Which of the following is responsible for skeletal muscle relaxation?
1. Dystrophin
2. Tropomyosin
3. Myosin
4. Actin

Correct answer: 2. Tropomyosin

Explanation: Ans. B TropomyosinRef: Gattong, 25th ed. pg. 101* Tropomyosin acts as a relaxing protein at rest by covering the sites where myosin binds to action* Dystrophin is a sarcolemmal protein providing calcium input to sarcoplasmic reticulum. This Ca++ is useful in coupling of actin-myosin complex.